Percentage of gold in high noble alloy is
1. < 25%
2. 25%
3. >40%
4. 0%

Correct answer: 3. >40%